All are the risk factors for endometrial carcinoma except :
1. Multiparity
2. Obesity
3. Early menarche
4. Unopposed estrogen therapy

Correct answer: 1. Multiparity

Explanation: Pathology behind endometrial cancer is unopposed estrogen exposure to endometrium Multiparity is a protective factor Unopposed oestrogen or high level of oestrogen Chronic anovulation, PCOD Familial predisposition Tamoxifen Obesity, hypertension, diabetes Feminizing ovarian tumour Low parity Late menopause Reference: Shaw's Textbook of Gynaecology 16th edition page no 508